Structures passing through the inguinal canal are all EXCEPT:
1. Genital branch of genitofemoral nerve
2. Ilio-inguinal nerve
3. Inferior epigastric artery
4. Lymphatics from uterus

Correct answer: 3. Inferior epigastric artery

Explanation: Inferior epigastric artery is a branch given by external iliac artery, which ascends supero-medially, becomes medial relation of deep inguinal ring, and subsequently enters rectus sheath. It is not a content of inguinal canal. Lymphatics from uterus follow the round ligament of uterus through the inguinal canal